Lynching is:
1. Accidental hanging
2. Homicidal hanging
3. Accidental drowning
4. Homicidal drowning

Correct answer: 2. Homicidal hanging

Explanation: Lynching : Form of homicidal hanging. A suspect, an accused or an enemy is overpowered by several persons, acting jointly and illegally, and hung him by means of a rope from a tree or some similar object. It was prevalent in North America, where it was practiced by whites on blacks.